At a flow rate of 3L/min, inspiratory (FUO2) concentration of 30–60% can be achieved by using a –
1. Nasopharyngeal catheter
2. Simple face mask
3. Venturi mask
4. Head box

Correct answer: 1. Nasopharyngeal catheter

Explanation: Nasopharyngeal catheter deliver 32% of O2 (FiO2 → 0.32) at flow-rate 3 litre / minute.